For calculation of incidence denominator is taken as -
1. Mid year population
2. Population at risk
3. Total number of cases
4. Total number of deaths

Correct answer: 2. Population at risk

Explanation: ref: Park's 23rd edition pg 60 INCIDENCE= No. of new cases of specific disease during a given time period / population at risk during that period x 1000